The most potent bone resorbing interleukin is
1. IL - 8
2. IL - 1B
3. IL - 5
4. IL - 3

Correct answer: 2. IL - 1B